Bladder develops from -
1. Ectoderm
2. Mesoderm
3. Endoderm
4. Neural crest cells

Correct answer: 3. Endoderm

Explanation: Ans. is 'c' i.e., Endoderm o The trigone part of the bladder is derived from mesoderm. The remaning bladder is endo dermal in origin.o Before the formation of the tail fold of the embryo, a small endodermal diverticulum called the allantoic diverticulum arises from the yolk sac near the caudal end.o The yolk sac goes on to form the gut.o The part of the hindgut caudal to the attachment of the allantoic deverticulum is called the cloaca,o A urorectal septum divides the cloaca into a ventral urogenital sinus and a dorsal primitive rectum,o The urogenital sinus gives rise to some parts of the urogenital system while the primitive rectum gives rise to the definitive rectum.FATE OF THE GENITAL DUCTSI MESONEPHRIC/WOLFFIAN DUCT(main genital duct in males)In mates:o Posterior wall of prostatic urethra proximal to opening of ejaculatory ductso Ureteric bud forming ureter, pelvis, calyces and collecting tubuleso Trigone of bladdero Appendix of epididymiso Vas deferenso Epididymiso Ejaculatory ductso Prostateo Seminal vesiclesIn females:o Posterior wall of female urethrao Ureteric budo Trigone of bladdero Paroophorono EpoophoronII. PARAMESONEPHRIC/MULLERIAN DUCT(main genital duct in females)In females:o Fallopian tubeso Uteruso Upper 3/4 of vaginaIn males:o Appendix of testiso Prostatic utricleo The urinary bladder except the trigone, the lower !/< of the vagina and the distal part of mate urethra are derived from the urogenital sinus which is endodermal in origin. The above two ducts are mesodermal in origin.